Torsade de pointes is caused by
1. Hypermagnesemia
2. Metabolic acidosis
3. Hypomagnesmia
4. Metabolic alkalosis

Correct answer: 3. Hypomagnesmia

Explanation: Electrolyte disturbances including hypomagnesmia predispose patients for marked QT prolongation and Torsade de pointes as a result of reduced repolarization reserve Ref Harrison 20th edition pg 1423